30 year old young male came with sudden onset visual loss with no h/o trauma and the fundus details cant be appreciated with no significant systemic history. The other eye has evidence of sheathing of vessels in periphery. A diagnosis of Eale's disease is made. The most common presenting symptom of this disease is
1. Neovascularization
2. Recurrent vitreous hemorrhage
3. Macular edema
4. Posterior subcapsular cataract

Correct answer: 2. Recurrent vitreous hemorrhage

Explanation: EALES DISEASE -Bilateral, Idiopathic, Occlusive, Peripheral periphlebitis -also known as angiopathia retinae juvenilis, periphlebitis retinae, primary perivasculitis of the retina. -Recurrent Vitreous Hemorrhage in young and is the most important and pathognomic identifying feature -There can be subtle signs of sheathing of vessels and exudates in the fellow eye -Few evidence in literature suggests of possible association with TB